A 73-year-old woman is admitted to the hospital with a mild UGI hemorrhage that stopped spontaneously. She did not require transfusion. She had ingested large amounts of aspirin in the past 4 months to relieve the pain caused by severe rheumatoid arthritis. Endoscopy confirms the presence of a duodenal ulcer. A biopsy is done. What is the next step in the management of a duodenal ulcer associated with a positive biopsy for H. pylori?
1. H2 blockers
2. Bipolar electrocautery of the ulcer
3. Triple therapy
4. Photocoagulation

Correct answer: 3. Triple therapy

Explanation: Since the patient is stable, she does not require any therapeutic endoscopic or surgical procedures. Triple therapy (a PPI and two antibiotics) should be initiated to eradicate the H. pylori organism. She should also be educated about the association of aspirin and NSAIDs with peptic ulcer disease.